1st evidence of calcification of Upper 3rd molar is seen in
1. at birth
2. 7-8 year
3. 10 year after birth
4. 12 years after birth

Correct answer: 2. 7-8 year